Theory of the web of causation was given by?
1. Mc Mohan and Pugh
2. Pettenkoffer
3. John snow
4. Louis Pasteur

Correct answer: 1. Mc Mohan and Pugh

Explanation: ANSWER: (A) Mc Mohan and Pugh REF: Park 20th edition page 32 Repeat from December 2010 "The web of causation theory was given by MC Mohan and Pugh" It is based upon the epidemiological triad of: Agent Host Environment